What is atomic number :
1. Proton
2. Electrons + protons
3. Protons + neutrons
4. Protons + protons

Correct answer: 1. Proton

Explanation: A i.e. Proton Atomic number Number of protonsQ Number of electronQ Mass number No. of protons + No. of neutronsQ